Paul Bunnel test is used for diagnosis of
1. Chicken pox
2. Yellow fever
3. Genital Herpes
4. Infectious mononucleosis

Correct answer: 4. Infectious mononucleosis

Explanation: Infectious mononucleosis is diagnosed by Paul Bunnel test. Revision of Key Points About Infectious Mononucleosis
• Ebstein Barr virus is causative for infectious mononucleosis.
• Infectious mononucleosis is called a glandular fever
• Clinical features include fever, lymphadenopathy, sore throat and presence of abnormal lymphocytes in blood.
• Monospot test is also used for diagnosis of infectious mononucleosis,
• Patients develop skin rash if they consume an antibiotic like ampicillin EBV is also oncogenic in nature because it causes B cell clonal activation.